Movement across socioeconomic levels is known as?
1. Social insurance
2. Social mobility
3. Social equality
4. Social upliftment

Correct answer: 2. Social mobility

Explanation: The socioeconomic status of an individual / family can change over time due to the change in their literacy, job and income An individual belonging to a low socioeconomic class can move to a higher class by means of better income Similarly, an individual in a higher class may move to a lower class due to loss of his job This change in socioeconomic status of an individual / family over time is known as Social Mobility Ref : Park's Textbook of Preventive medicine